Rocky mountain spotted fever Cause and vector are:-
1. R. Akari and mite
2. R. Conori and tick
3. R. Rickettsii and tick
4. R. Prowazekii and louse

Correct answer: 3. R. Rickettsii and tick

Explanation: RICKETTSIAL DISEASE CAUSE VECTOR RESERVOIR EPIDEMIC TYPHUS R. prowazekii Louse Man ENDEMIC TYPHUS R. typhi Flea Rodents SCRUB TYPHUS R. tsutsugamushi Trombiculid mite Rodents INDIAN TICK TYPHUS R. conori Tick Rodents RMSF R. ricketisii Tick Rodents R.POX R. akari Mite Rodents Q FEVER Coxiella - Cattle TRENCH FEVER Bartonella Louse Man